Vibrio cholera was discovered by -
1. Koch
2. Mekintoff
3. John snow
4. Virchow

Correct answer: 1. Koch

Explanation: Ans. is 'a' i.e., Koch